Stridor in an infant is most commonly due to:
1. Diphtheria
2. Acute epiglottitis
3. Foreign body aspiration
4. Laryngomalacia

Correct answer: 4. Laryngomalacia

Explanation: Ans. D: Laryngomalacia Laryngomalacia is the most common cause of inspiratory stridor in the neonatal period and early infancy and accounts for up to 75% of all cases of stridor. Stridor may be exacerbated by crying or feeding. Placing the patient in a prone position with the head up improves the stridor; supine position worsens the stridor. Laryngomalacia is usually benign and self-limiting and improves as the child reaches age 1 year. If significant obstruction or lack of weight gain is present, surgical correction or supraglottoplasty may be considered if tight mucosal bands are present holding the epiglottis close to the true vocal cords or redundant mucosa is observed overlying the arytenoids.s